Inhibin B levels as test of ovarian reserve is best measured on?
1. Day 2 of menstruation
2. Day 3 of menstruation
3. Day 4 of menstruation
4. Day 5 of menstruation

Correct answer: 2. Day 3 of menstruation

Explanation: ANSWER: (B) Day 3 of menstruationREF: Novaks gyn 12th edp. 406'Cycle day 3 is chosen because at this time the estrogen level is expected to be low, a critical feature, as FSH levels are subject to a negative feedback'Tests for ovarian reserveDay of testingFSH (most commonly used)Day 3Clomiphene citrate challenge test (CCCT)Day 3Serum inhibin BDay 3Transvaginal ultrasound to assess antral follicle number or ovarian sizeAny